A child is born with meningoencephalitis, chorioretinitis and intracranial calcification. What is the most likely diagnosis?
1. Congenital syphilis
2. Toxoplasmosis
3. Rubella
4. Herpes simplex

Correct answer: 2. Toxoplasmosis

Explanation: Intrauterine infections: Infection Manifestation Toxoplasmosis Meningoencephalitis, chorioretinitis, diffuse cerebral calcification, thrombocytopenia, Neonatal hepatitis. Rubella Sensorineural deafness, cardiovascular abnormalities, skeletal defects,ocular defects, CNS abnormalities, IUGR. Syphilis Bullous maculopapular rash, hepatosplenomegaly, lymphadenopathy, anemia, thrombocytopenia, nephritis, skeletal lesions, pseudoparalysis, leptomeningitis, growth retardation etc. Herpes simplex Vesicular lesion, pneumonitis, myocarditis, hepatitis. Ref: O.P.Ghai 6th Ed Page 165; 7th Ed Page 171.